All of the following are the features of secondary sjogren syndrome except:
1. Dry eyes.
2. Dry mouth.
3. SLE.
4. Neuromuscular involvement.

Correct answer: 4. Neuromuscular involvement.